Suprarenal gland gets its blood supply from all of the following arteries except:
1. Aorta
2. Renal artery
3. Inferior phrenic artery
4. Superior mesentric artery

Correct answer: 4. Superior mesentric artery

Explanation: Right suprarenal vein drain into IVC ; and left suprarenal vein drain into left Renal vein Suprarenal gland is supplied by suprarenal, renal, inferior phrenic artery and aorta Ref: Gray's anatomy text book of anatomy BD chaurasia 21st Ed.